S/E of OC pills is -
1. Dysmenorrhoea
2. Prolactin level
3. Carbohydrate intolerance
4. Endometriosis

Correct answer: 3. Carbohydrate intolerance

Explanation: Ans. is 'c' i.e., Carbohydrate intolerance Adverse effects of OCPs c Nausea, vomiting, headache (migraine may be worsened). o Breakthrough bleeding or spotting, Amenorrhoea o Breast discomfort (mastalgia) o Weight gain, acne and increased body hair. o Cholasma, pruritus vulvae o Carbohydrate intolerance o Mood swing, abdominal distention (especially with minipill). o Leg vein and pulmonary thrombosis. Coronary & cerebral thrombosis --> MI, stroke u Estrogen component is responsible for venous thromboembolism. Both estrogen and progesterone are responsible for the arterial phenomena. o Mechanisms involved may be ? I. Increase in the blood clotting factors (II, VII, IX, X) Decrease antithrombin III and plasminogen activator. Increased platelet aggregation. o Rise in BP T risk of breast and cervical carcinoma (risk of endometrial and ovarian carcinoma decreases) o Benign hepatoma - may turn into malignant. Gall stones. Remember o Estrogen increases the risk of endometrial cancer. o Progesterone component decreases this risk in OC pills. o Estrogen has favorable effect on lipid profile, while progesterone has opposite effect. o Progesterone component is mainly responsible for MI.